A patient came to casualty for acute bronchial asthma after treatment for glaucoma. The probable drug may be
1. Timolol
2. Betoxalol
3. Lantanoprost
4. Anticholinesterase

Correct answer: 1. Timolol

Explanation: Timolol is a non selective Beta blocker and can precipitate acute attacks of asthma in a susceptible individual blockade of Beta 2 receptors. Betaxolol is a cardioselective Beta blocker and is less likely to cause this adverse side effect Refer kDT 6/e p 139